In a population of pregnant female, Hb is estimated on 100 women with standard deviation of 1 gm%. The standard error is-
1. 1
2. 0.1
3. 0.01
4. 10

Correct answer: 2. 0.1

Explanation: standard error of mean = standard deviation/[?]n =1/10 =0.1 Parks textbook of preventive and social medicine.K Park. Edition 23.Pg no: 850